True regarding neoplasms of the ovary are:a) Stromal invasion is commonly present in ovarian tumours of borderline malignancyb) Lymphocytic infiltration is characteristic to dysgerminomac) Presence of ascites and pleural effusion in Brenner tumour indicates poor prognosisd) Endometrioid carcinoma of the ovary may coexist with endometrial adenocarcinoma
1. c
2. d
3. bd
4. ac

Correct answer: 3. bd